Petechial hemorhages in drowning is seen in :
1. Subpleural tissues of lung
2. Submucosa of trachea
3. Bronchioles
4. Alveoli

Correct answer: 1. Subpleural tissues of lung

Explanation: A i.e. Subpleural tissue of lung